Management of displaced non comminuted intercondylar humerus fracture is -
1. Open reduction internal fixation
2. Above elbow plaster slab application
3. Olecranon pin traction
4. External fixation

Correct answer: 1. Open reduction internal fixation

Explanation: Ans. is 'a' i.e., Open reduction internal fixation Management of intercondylar humerus fracture* It depends upon the displacement.* An undisplaced fracture needs support in an above-elbow plaster slab for 3-4 weeks, followed by exercises.* A displaced fracture is treated generally by open reduction and internal fixation.* In cases with severe comminution, olecranon pin traction is given to reduce the fracture and maintain the reduction.